Omenn syndrome is a form of
1. Squamous cell carcinoma
2. Chronic mucocutaneous candidiasis
3. IgA deficiency
4. Severe combined immunodeficiency

Correct answer: 4. Severe combined immunodeficiency

Explanation: Omenn syndrome is an autosomal recessive form of severe combined immunodeficiency (SCID) characterized by erythroderma (skin redness), desquamation (peeling skin), alopecia (hair loss), chronic diarrhoea, failure to thrive, lymphadenopathy (enlarged lymph nodes), eosinophilia, hepatosplenomegaly, and elevated serum IgE levels. Ref Harrison 20th edition pg 1234